Naegler's reaction is due to:
1. Coagulase
2. Hyaluronidase
3. Lecithinase
4. None of the above

Correct answer: 3. Lecithinase

Explanation: Ans. is. 'c' i. e. Lecithinase